What is differentiating feature between irritable bowel syndrome and inflammatory bowel disease is?
1. pain in abdomen
2. Stool calprotectin
3. Mucus in stools
4. Diarrhoea

Correct answer: 2. Stool calprotectin

Explanation: FECAL CALPROTECTIN, is a biomarker of bowel inflammation and help in differentiating from irritable bowel syndrome. Faecal lactoferrinis a highly sensitive and specific marker for detecting intestinal inflammation. Faecal calprotectinlevels correlate well with histologic inflammation, predict relapses, and detect pouchitis.